Pontine hemorrhage most common cause is
1. Hypertension
2. Diabetes
3. Trauma
4. Aneurysmal rupture

Correct answer: 1. Hypertension

Explanation: Pontine haemorrhage, a form of Ref Harrison20th edition pg 2456